Major portion of coronary blood flow occurs during
1. Systole
2. Diastole
3. Not related to phases
4. It is variable

Correct answer: 2. Diastole

Explanation: The pressure inside the left ventricle is slightly higher than in the aorta during systole. Flow occurs in the arteries supplying the subendocardial portion of the left ventricle only during diastole, although the force is sufficiently dissipated in the more superficial portions of the left ventricular myocardium to permit some flow in this region throughout the cardiac cycle.Ref: Ganong's Review of medical physiology 25th edition. Page: 611